One of the intestinal enzymes that is generally deficient in children following an attack of severe infectious enteritis is?
1. Lactase
2. Trypsin
3. Lipase
4. Amylase

Correct answer: 1. Lactase

Explanation: Because Lactase activity in mucosa is marginal, it is likely to be depleted secondary to diffuse mucosal disease Causes of Acquired Lactase deficiency Acute Infective enteritis: Viral or Bacterial gastroenteritis Cystic fibrosis Protein energy malnutrition Cow's milk protein intolerance Prolonged use of drugs like Neomycin